Hepatitis E is mostly transmitted through:
1. Skin
2. Feco oral route
3. Blood
4. Sexual route

Correct answer: 2. Feco oral route

Explanation: Feco oral route